When occlusal forces are increased, the cancellous bony trabeculae?
1. Increase in number and thickness
2. Decrease in number and thickness
3. Decrease in number and increase in thickness
4. Remains the same

Correct answer: 1. Increase in number and thickness